Contrecoup injuries are seen in which of the following?
1. Brain
2. Upper limb
3. Spleen
4. Left kidney

Correct answer: 1. Brain

Explanation: Contrecoup injuries are chiefly due to local distortion of the skull and sudden rotation of the head resulting from blow, which causes shear strains due to the pulling apart of the constituent particles of the brain. Ref: The Essentials of Forensic Medicine & Toxicology by K S Narayan Reddy, 27th Edition, Pages 75, 76